Gene responsible for Wilson disease is situated on which chromosome?
1. Chromosome 11
2. Chromosome 12
3. Chromosome 13
4. Chromosome 14

Correct answer: 3. Chromosome 13

Explanation: Ans. is 'c' i.e., Chromosome 13 Wilson disease is an autosomal recessive disorder caused by mutation of the ATP7B gene, resulting in impaired copper excretion into bile & failure to incorporate copper into ceruloplasmin. The ATP 7 B gene is located on chromosome 13.